Central placenta previa in 37 weeks gestation, treatment is :
1. Vaginal delivery with ARM
2. Elective cesarean
3. Cesarean when bleeding starts
4. Conservative and wait till 38 weeks gestation

Correct answer: 2. Elective cesarean

Explanation: Elective cesarean